A simple bacterial test for mutagenic carcinogens is:
1. Ames test
2. Redox test
3. Bacteriophage
4. Gene splicing

Correct answer: 1. Ames test